32 years old lady with twin dichorionic diamniotic pregnancy, first baby breech presentation and second baby cephalic presentation. What is the management?
1. C - Section
2. Assisted breech
3. Instrumental delivery
4. Normal vaginal delivery

Correct answer: 1. C - Section

Explanation: First fetus of the twins is having breach presentation which demands C-section. Other mode of presentation and delivery Both Cephalic presentation (60%)- Normal Vaginal delivery can be done First cephalic 2nd breach- Normal Vaginal delivery can be done